Mean arterial pressure is calculated as
1. (SBP+2DBP)/3
2. (DBP+2SBP)/3
3. (SBP+3DBP)/2
4. (DBP+3SBP)/2

Correct answer: 1. (SBP+2DBP)/3

Explanation: Ans. (a) (SBP+2DBP)/3Ref: Ganong, 25th ed/p.577Mean arterial blood pressure (MAP)Is the average pressure in the arteriesSince the diastole of cardiac cycle is longer (0.53s) than the systole (0.27 s), mean is not the exact average of SBP and DBPMean arterial blood pressure = Diastolic pressure +1/3 of pulse pressureSince pulse pressure =SBP-DBP,MAP=DBP+1/3(SBP-DBP)MAP=3SBP+2DBP Normal mean arterial pressure is around 93-100mmHg